During massive disaster what should be done first?
1. Hospital treatment and redistribution of patients to hospital if necessary
2. Triage
3. Stabilization of victims
4. Search and rescue, first aid

Correct answer: 4. Search and rescue, first aid